The structure that does not cross the midline is -
1. Left gonadal vein
2. Left renal vein
3. Left branchiocephalic vein
4. Hemiazygos vein

Correct answer: 1. Left gonadal vein

Explanation: In the left side, inferior phrenic vein, suprarenal vein, and the gonadal vein drains into left renal vein, whereas on the right side, they drain into inferior vena cava directly. So they do not cross the midline on the left side.